Most common uterine malformation associated with poor obstetric outcome
1. Bicornuate
2. Unicornuate
3. Septate
4. Didelphys

Correct answer: 3. Septate

Explanation: Septate Uterus Partial lack of resorption of the midline septum between the two mullerian ducts results in fibromuscular defects which range from a slight midline septum to a significant midline division of endometrial cavity Defect is not a cause of infertility, but once pregnant, greater the septum - greater the risk of recurrent spontaneous miscarriage, more in second trimester Complete septate uterus is associated with high risk of spontaneous miscarriage, Preterm labor, FGR and Breech presentation Outcomes are excellent with treatment by hysteroscopy Post treatment miscarriage rates are approximately 10% compared to 90% pretreatment with a complete septum Surgical procedure is not indicated in arcuate uterus Clinical Gynecologic Endocrinology and Infertility; Eigth Edition; Chapter 4